A 12-year-old boy had a gradually progressive plaque on a buttock for the last 3 years. The plaque was 15 cm in diameter, annular in shape, with crusting and induration at the periphery and scarring at the centre. The most likely diagnosis –
1. Tinea corporis
2. Granuloma annulare
3. Lupus vulgaris
4. Borderline leprosy

Correct answer: 3. Lupus vulgaris

Explanation: This boy has


Annular plaque
On buttock
Crusting at periphery
Scarring at centre

These suggest the diagnosis of lupus vulgaris.
Annular lesions 

When the lesions of a skin disease are arranged in ring shape, they are called annular lesions.